A woman is exposed to multiple sex partners has 5 times increased risk for carcinoma cervix. The attributable risk is -
1. 20%
2. 50%
3. 80%
4. 100%

Correct answer: 3. 80%

Explanation: Attributable risk=100 (refer pgno 78 park 23rd edition)